All are true about para umbilical hernia except
1. Occurs adjacent to umbilicus
2. Can lead to Richter's hernia
3. High chances of strangulation
4. Conservative management

Correct answer: 4. Conservative management

Explanation: All paraumbillical hernias should be treated surgically (open or laparoscopic).